Kissing lesion is
1. Infectious mononucleosis
2. Candidiasis
3. Histoplasmosis
4. None

Correct answer: 2. Candidiasis

Explanation: Median rhomboid glossitis or posterior midline atrophic candidiasis shows male predilection in 3:1 ratio. In some cases, a midline soft palate erythema may be found in the area of routine contact with the underlying tongue involvement and this is commonly referred as kissing lesion.
(Note:- Kissing disease is other name for infectious mononucleosis)